IQ level of intelligence 90-109 is:
1. Borderline
2. Normal
3. Low normal
4. Superior

Correct answer: 2. Normal

Explanation: Ans. B i.e. Normal